Megaloblastic anemia is caused by -
1. Phenytoin
2. Lithium
3. Lead
4. Chloroquine

Correct answer: 1. Phenytoin

Explanation: Ans. is 'a' i.e., PhenytoinSome important drugs causing megaloblastic anaemiao Methotrexateo Phenytoino Cytosine arabinosideo Phenobarbitoneo Pentamidineo Pyrimethamineo Zidovudineo 5-Fluorouracilo Sulfasalazineo Triamtereneo Primidoneo Trimethoprimo Azathioprine